In G6PD deficiency patient, hemolysis is due to decrease in
1. H+
2. TPP
3. NADH
4. NADPH

Correct answer: 4. NADPH

Explanation: G6PD deficiency is an inherited sex-linked trait. Although the deficiency occurs in all the cells of the affected individuals, it is more severe in RBC. HMP shunt is the only means of providing NADPH in the erythrocytes. Decreased activity of G6PD impairs the synthesis of NADPH in RBC. This results in the accumulation of methemoglobin and peroxides in erythrocytes leading to hemolysis.
Glucose-6-phosphate dehydrogenase deficiency is most common and pyruvate kinase deficiency is 2nd most common enzyme deficiency related hemolytic anemia.